All of the following are the Intranatal causes of Perinatal mortality except:-
1. Birth injuries
2. Birth asphyxia
3. Antepartum hemorrhage
4. Obstructed labor

Correct answer: 3. Antepartum hemorrhage

Explanation: Causes of perinatal mortality: Antenatal cause Intranatal cause Maternal disease -HTN,DM,TB,Anemia,Cardiovascular disease Birth injuries Pelvic disease Birth asphyxia Anatomical defects Prolonged effort time; obstructed labour Endocrine imbalance Other Obstetric complications Malnutrition Postnatal causes Toxemias Prematurity Antepartum hemorrhage Respiratory distress syndrome Congenital defects Respiratory and alimentary infections Advanced maternal age Congenital anomalies Blood incompatibilities